Ureteric constriction is seen at all the following positions, EXCEPT:
1. Ureteropelvic junction
2. Ureterovesical junction
3. Crossing of iliac artery
4. Ischial spine

Correct answer: 4. Ischial spine

Explanation: Each ureter measures about 10 in. (25 cm) long and resembles the esophagus (also 10 in. long) in having three constrictions along its course. The sites of ureteric constrictions include: where the renal pelvis joins the ureter, where it is kinked as it crosses the pelvic brim, and where it pierces the bladder wall.Ref: Richard S Snell's Clinical Anatomy for Medical Students, 6th Edition, Pages 236, 273